Parasympathetic stimulation induces salivary acinar cells to release the protease
1. Bradykinin
2. Kallikrein
3. Kininogen
4. Kinin

Correct answer: 2. Kallikrein